Cryoprecipitate is a source contains following EXCEPT-
1. Fibrinogen
2. Factor VIII
3. Von Willebrand factor
4. Albumin

Correct answer: 4. Albumin

Explanation: Cryoprecipitate contains fibrinogen & coagulation factors concentrated from plasma by controlled thawing. 10-20 mL pack contains fibrinogen 150-300mg ,factor VIII 80-120U, von Willebrand factor 80-120U. Reference:Davidson's principles & practice of medicine 22nd edition pg no 1012